Shortest action local anaesthetic:
1. Procaine
2. Cocaine
3. Dibucaine
4. Chloroprocaine

Correct answer: 4. Chloroprocaine

Explanation: Shortest Acting LA Chlorprocaine Longest acting LA Dibucaine